The type of Allergic reaction seen in Allergic fungal sinusitis is -
1. Type 1 and Type 2
2. Type 2 and Type 3
3. Type 1 and Type 3
4. Type 4 and Type 1

Correct answer: 3. Type 1 and Type 3